A thicker rubber dam is recommended for……………cavity
1. Class 1
2. Class 2
3. Class 4
4. Class 5

Correct answer: 4. Class 5

Explanation: A thicker dam is more effective in retracting tissue and more resistant to tearing; it is especially recommended for isolating Class V lesions in conjunction with a cervical retainer